Regarding amoebic liver abscess which of the following is true:
1. Multiple abscess are more common
2. Most of the patients have a history of dysentery at the time of presentation
3. May rupture into the pleural cavity
4. For asymptomatic luminal carriers metronidazole is the drug of choice

Correct answer: 3. May rupture into the pleural cavity

Explanation: The M/C extra intestinal manifestation of Amoebic dysentery is amoebic liver abscess. This frequently presents without history of prior intestinal symptoms. Physical examination shows intercostal tenderness. Abscesses are most commonly single and in the right lobe of the liver Without prompt treatment, amoebic abscesses may rupture into the pleural, peritoneal, or pericardial space, which is often fatal.